An HIV+ patient with CD4 count of 47 cells/mL presents with diarrhea. Acid fast oocysts are found in the stool. From this finding, what is the proper care and prognosis with that care?
1. Infection is short lasting and self-resolving and requires no treatment
2. If treated with antibiotics, the infection should resolve in 3-6 days
3. Infection will only resolve with antituberculous drugs and then it may take weeks
4. Even with the best treatment, the infection may be unrelenting

Correct answer: 4. Even with the best treatment, the infection may be unrelenting

Explanation: Cryptosporidium parvum. Protozoan parasite, which is considered to be the most common cause of diarrhea in AIDS. Dx- Acid-fast oocysts in the stool by performing modified ZN staining. Rx- Azithromycin, Spiramycin, Paromomycin and Nitazoxanide Other causes of diarrhea in AIDS are Isospora bellii, Cyclospora cayatenensis, and Microsporidia. If CD 4 Count <50 cells/mL -Even with the best treatment, the infection may be unrelenting